Lower leg perforator is between
1. Femoral vein and great saphenous vein
2. Posterior tibial vein and saphenous veiin
3. Posterior tibial vein and posterior arch vein
4. Peroneal vein and short saphenous vein

Correct answer: 3. Posterior tibial vein and posterior arch vein

Explanation: Lower leg perforator is between posterior tibial vein and posterior arch vein (a tributary of GSV).